Lymphatic drainage of orpharynx is mainly through?
1. Superficial cervical lymph nodes
2. Submandibular nodes
3. Jugulodigastric node
4. Jugulo-omohyoid nodes

Correct answer: 3. Jugulodigastric node

Explanation: Ans. is 'c' i.e., Jugulodigastric nodes Deep cervical lymph nodes are divided into two groups :- (i) jugulodigastric, and (ii) jugulo-omohyoid. Lymphatics from oropharynx drain into jugulodigastric nodes. Lymphatic drainage of pharynx Lymphatic drainage of pharynx may be :? 1. Nasopharynx Nasopharynx drains into upper deep cervical nodes either directly or indirectly through retropharyngeal or parapharyngeal nodes. Nasopharynx also drains into spinal accessory chain of nodes in the posterior triangle of the neck. 2. Oropharynx Lymphatics from the oropharynx drain into upper jugular particularly the jugulodigastric (tonsillar) nodes. The soft palate, lateral and posterior pharyngeal walls and the base of tongue also drain into retropharyngeal and parapharyngeal nodes and from there to the jugulodigastric and posterior cervical group. 3. Hyphopharynx Pyriform sinus drains into upper jugular chain & then to deep cervical group of lymph nodes. Postcricoid region drains into parapharyngeal and paratracheal group of lymph nodes. Posterior pharyngeal wall drains into parapharyngeal lymph nodes and finally to deep cervical lymph nodes.